True statement regarding epilepsy in pregnancy is:
1. Seizure frequency decreases in majority
2. Monotherapy is preferred to polydrug therapy
3. No increase in incidence of epilepsy in offspring
4. Breastfeeding is contraindicated

Correct answer: 2. Monotherapy is preferred to polydrug therapy

Explanation: Epilepsy : The effect of pregnancy on epilepsy is uncertain Risk of developing epilepsy to the offspring of an epileptic mother is 5-8 % Preconception counselling to initiate monotherapy replacing polytherapy No contraindication for breastfeeding Ref: Dutta Obs 9e pg 273.